Which of the following organisms is a natural transformer?
1. Escherichia coli
2. Neisseria gonorrhoeae
3. Plasmodium vivax
4. Pseudomonas aeruginosa

Correct answer: 2. Neisseria gonorrhoeae

Explanation: Transformation is the uptake and integration of naked DNA by a bacteria from the environment. Transformation can be induced in the laboratory (a technique used to introduce gene-carrying plasmids into bacteria) or, relatively uncommonly, occurs naturally. Only a few medically important species undergo natural transformation: Haemophilus species, Streptococcus species, Neisseria gonorrhoeae, and Helicobacter pylori. Ref: Levinson W. (2012). Chapter 4. Genetics. In W. Levinson (Ed), Review of Medical Microbiology & Immunology, 12e.